Measures involved in sentinel surveillance includes all of the following except
1. Identifying missing cases in notification of diseases
2. Identifying new cases of infection
3. Identifying old and new cases
4. Identifying cases free of disability

Correct answer: 4. Identifying cases free of disability

Explanation: Sentinel Surveillance : Monitoring of rate of occurrence of specific conditions to assess the stability or change in health levels of a population, It is also the study of disease rates in a specific cohort, geographic area, population subgroup, etc. to estimate trends in larger population ; For e.g. Use of health practitioners to monitor trends of a health event in a population 1. Sentinel Surveillance helps in ‘identifying missing cases’ and ‘supplementing notified cases’.